Which of the following is produced by the complete oxidation one molecule of palmitic acid in mitochondrial beta oxidation?
1. 8 FADH2, 8 NADH and 8 acetyl CoA molecules
2. 7 FADH2, 7 NADH and 7 acetyl CoA molecules
3. 8 FADH2, 8 NADH and 7 acetyl CoA molecules
4. 7 FADH2, 7 NADH and 8 acetyl CoA molecules

Correct answer: 4. 7 FADH2, 7 NADH and 8 acetyl CoA molecules

Explanation: Palmitic acid is a 16-carbon fatty acid. Acetyl-CoA is a 2-carbon molecule. So, oxidation of palmitate should produce 8 acetyl-CoA molecules. -> option b and c are directly excluded. One may think that there will be 8-rounds of beta oxidation. But there are only 7-rounds since the 7th round produces two acetyl-CoA molecules. So, 7 FADH2 and 7 NADH are produced. -> option a is excluded.